Interleukin 2 is produced by
1. T helper cells 2
2. Natural killer cells
3. T helper cells 1
4. Basophils

Correct answer: 3. T helper cells 1

Explanation: A) T helper -1 (TH1) secretes → IL-2 and interferon - γ
B) T helper - 2 (TH2) secretes → IL-4, IL-5, IL-6, IL-13